The floor of inguinal canal is formed by all except.
1. Rectus adbominus
2. Inguinal ligament
3. Lacunar ligament
4. Iliopubic tract

Correct answer: 1. Rectus adbominus

Explanation: To help define the boundaries, the canal is often further approximated as a box with six sides. Not including the two rings, the remaining four sides are usually called the "anterior wall", "posterior wall", "roof", and "floor".These consist of the following: